Absent P waves with wide QRS complex indicates serum potassium of
1. 5.4 meq/L
2. 6.5 meq/L
3. More than 8 meq/L
4. More than 1O meq/L

Correct answer: 3. More than 8 meq/L

Explanation: Hyperkalemia Courtesy of Dr. Michael McCrea a. Tall hyperacute T wave (earliest ECG finding) b. Prolonged PR interval c. Flattened or absent P wave d. Wide QRS complex that eventually blends with the T wave to assume a "sine wave" appearance e. Heart blocks f. QT interval normal or shortened Ref: guyton and hall textbook of medical physiology 12 edition page number:184,185,186